Floating water–Lily sign is feature of –
1. Lung hydatid
2. Bronchial adenoma
3. Lung abscess
4. Aspergilloma

Correct answer: 1. Lung hydatid

Explanation: Water - Lily sign, also refered as camalote sign, is seen in ruptured hydatid cyst (echinococcosis) of lung.